Endocopes are usually disinfected with:
1. Glutaraldehyde
2. Isopropyl alcohol
3. Gamma irradiation
4. Ethylene oxide

Correct answer: 1. Glutaraldehyde

Explanation: Ref: Ananthanarayan, Paniker CJ. Textbook of Microbiology. 6th Ed. London: John Wiley & Sons: 2000.Explanation:DisinfectantActive againstUseEthyl alcoholBactericidal but not sporicidalSkin antisepticsIsopropylalcoholBactericidal but not sporicidalDisinfection of suture material, clinicalthermometersMethyl alcoholActive against bacterial and fungal sporesCabinets & incubatorsFormaldehydeBactericidal, sporicidal & virucidalOT fumigationGiutaraldehydeBactericidal, sporicidal & virucidal (less toxic/ irritant)Bronchoscopes,endoscopes, cystoscopesHypochloriteBactericidal, sporicidal & virucidalBlood spillChlorhexidinebactericidal, moderate sporicidal & virucidalTreatment of woundsEthylene oxideBactericidal, sporicidal & virucidal (highly penetrating gas)Heart lung machines, respirators, dental equipement